HPV causing cancer is-
1. HPV-6
2. HPV-11
3. HPV-16
4. HPV-3

Correct answer: 3. HPV-16

Explanation: Ans. is 'c' i.e., HPV-16 o High risk HPV: HPV-16,18,31,33 & 45 - associated with cervical cancero Low risk HPV: HPV- 6 & 11 - associated with precursor lesions CINo HPV-5 & 8 - associated with squamous cell cancer in patients with epidermodysplasia verruciformis.